Ewart's sign is seen in:
1. Acute pulmonary embolism
2. Pericardial effusion
3. Pneumomediastinum
4. Chronic constrictive pericarditis

Correct answer: 2. Pericardial effusion

Explanation: In pericardial effusion the base of the left lung may be compressed by pericardial fluid, producing a patch of dullness and increased fremitus (and egophony) beneath the angle of the left scapula. This is Ewart's sign. Ref: Harrisons principles of internal medicine, 18th edition, Page: 1971.